Which of the anti metabolite acts as a antifungal agent
1. Paclitaxel
2. 5-Flucytosine (5 Fc)
3. Chlorambucil
4. Decarbazine

Correct answer: 2. 5-Flucytosine (5 Fc)

Explanation: (5-FIucytosine) (715, 719-KDT) (761-KDT6th)FLUCYTOSINE (5-FC) - It is a pyrimidine antimetabolite which is inactive as such. It is taken up by fungal cells and converted into 5 fluorouracil and then to 5-fluorodeoxyuridylic acid which is an inhibitor of thymidylate synthesis* It is narrow spectrum fungistatic, active against Cryptococcus neoformans, Torula, Chromoblastomyces: and few strains of CandidaAdverse effects-* Leucopenia, thrombocytopenia and mild anaemia due to dose dependent bone marrow depression is the major roblem* GI disturbances are frequent, Liver dysfunction is mild and reversible.